All of the following features can differentiate between ventricular tachycardia and supraventricular tachycardia EXCEPT
1. QRs < 0.14 seconds
2. Ventricular rate > 160/min
3. Variable first heart sound
4. Relieved by carotid sinus massage

Correct answer: 2. Ventricular rate > 160/min